Final centre for horizontal movement of eye is:
1. Abducent nucleus
2. Trochlear nucleus
3. Oculomotor nucleus
4. Vestibular nucleus

Correct answer: 1. Abducent nucleus

Explanation: Ans. Abducent nucleus